Cholecystokinin is produced from:
1. Hepatocyte
2. Gastric mucosa
3. Duodenal mucosa
4. Epithelial cells of distal common bile duct

Correct answer: 3. Duodenal mucosa

Explanation: The major factor controlling the contraction of the gallbladder is the hormone cholecystokinin (CCK), which is released from the duodenal mucosa (I cells) in response to the ingestion of fats and amino acids. REF: GUYTON 12TH ED.